Which of the following is the commonest infectiuos cause for posterior uveitis?
1. Toxocara
2. Toxoplasma gondii
3. Taenia solium
4. Plasmodium falciparum

Correct answer: 2. Toxoplasma gondii

Explanation: Toxoplasmosis is the most common cause of posterior uveitis and accounts for around approximately 90 % of focal necrotizing retinitis. causitive agent - Toxoplasmosis gondi. H/O - contact with cat faeces C/F - Vitritis with underlying white-yellow choroiditis patch - 'Headlight in Fog Appearance" other causes of Posterior Uveitis:- Infections toxoplasmois TB(2nd M/C/CAUSE) Toxocariasis CMV,HIV Immune Disorders Sarcodiais PAN Sclroderma